Cholinomimetics are useful in all of the following conditions except:
1. Glaucoma
2. Myasthenia gravis
3. Post operative atony of bladder
4. Partial heart block

Correct answer: 4. Partial heart block

Explanation: Ans. (D) Partial heart block(Ref: KDT 8th/e p119/122)Cholinergic drugs decrease the conduction from atrium to ventricle, thus should be avoided in partial heart blockCholinergic drugs like pilocarpine and physostigmine are used in angle closure glaucomaNeostigmine (acetylcholineesterase inhibitor, a cholinergic drug) is used for treatment of myasthenia gravisNeostigmine is also used for post operative paralytic ileus and post operative urinary retention.